Midpalmar space of hand communicates with all except -
1. Forearm space
2. Fascial sheath of 1st lumbrical
3. Fascial sheath of 2nd lumbrical
4. Fascial sheath of 3rd lumbrical

Correct answer: 2. Fascial sheath of 1st lumbrical

Explanation: First lumbrical is a content of thenar space, not midpalmar space.